The factor which promotes virulence of mycobacteria tuberculosis-
1. wax D
2. Cord factor
3. Muramyl dipeptide
4. Mycolic acid

Correct answer: 2. Cord factor